Simplest measure of dispersion?
1. Range
2. Standard deviation
3. Mean deviation
4. Co-efficeint of range

Correct answer: 1. Range

Explanation: Ans. is 'a' i.e., Range The range Range is the simplest measure of dispersion. It is defined as the difference between the largest and smallest values of the variable. Range (R) = Largest value (L) - Smallest value (S)